Which of the following condition is associated with the presence of Herbert pits on eye examination?
1. Trachoma
2. Psoriasis
3. Spring catarrh
4. Fungal keratitis

Correct answer: 1. Trachoma

Explanation: Herbert's pits are pathognomonic limbal signs of trachoma seen as clear cavities following rupture and cicatrization of limbal follicles due to filling of the defect by epithelialization. Herbert's pits are the clinical characteristic signs of trachoma and a sufficient indication of previous trachoma. For diagnosis of trachoma WHO has laid down some diagnostic criteria and individual cases must have at least two of the following signs: Follicles on the upper tarsal conjunctiva Limbal follicles or their sequelae, Herbert's pits Typical conjunctival scarring Vascular pannus most marked at the superior limbus Ref: Comprehensive Manual of Ophthalmology By Ahmed E page 166